Keratomalacia is associated with
1. Measles
2. Mumps
3. Chicken pox
4. Rubella

Correct answer: 1. Measles

Explanation: Vitamin A deficiency and Keratomalacia The condition is usually bilateral. The cornea becomes dull and insensitive, hazy, and yellow infiltrates form until finally the whole tissue undergoes necrosis and seems to melt away (Keratomalacia) with in few hrs. A characterstic feature is the absence of inflammatory reaction. It is often precipitated by an acute systemic illness such as measles, pneumoniae and severe diarrhoea. Treatment: Ref:- Parsons diseases of eye; pg num:-218